Features supporting strangulation are -a) Blood outside vessels in microscopy from skin of ligature siteb) Dribbling of saliva from angle of mouthc) Marked cyanosis of faced) Bloody froth in mouth and nostrilse) Ligature mark
1. abc
2. acd
3. bc
4. bde

Correct answer: 2. acd

Explanation: In strangulation, there is laceration of blood vessels with hemorrhage under ligature mark.
Dribbling of saliva, from the angle of the mouth, is a feature of hanging (not strangulation).
There is marked cyanosis of the face and bloody froth may be present at nose and mouth.
Ligature mark is also seen in hanging. Thus, just the presence of ligature mark does not support the diagnosis of strangulation.
It is the features of ligature mark which support the diagnosis, i.e. above thyroid, horizontal, complete and continuous.